A patient presents with a history of continuous headache for the past 8 years. Repeated examinations had failed to reveal any lesion. The patient is convinced that he has a tumor in his brain. The diagnosis is:
1. Hypochondriasis
2. Somatization
3. Somatoform pain disorder
4. Obsessive Compulsive Disorder

Correct answer: 1. Hypochondriasis

Explanation: Ans. Hypochondriasis